Anterior end of the spleen is held up by
1. Leinorenal ligament
2. Phrenicocolic ligament
3. Gastrosplenic ligament
4. Gastrocolic ligament

Correct answer: 2. Phrenicocolic ligament

Explanation: The posterior end is rounded and is directed upward and backward; it rests on the upper pole of the left kidney. The spleen's 3 borders are the superior, inferior, and intermediate. The superior border of the spleen is notched by the anterior end. The inferior border is rounded. Ref - researchgate.net